Which of the following inhibit complex IV?
1. Amylobarbital
2. Aconitase
3. Secobarbitone
4. Cyanide

Correct answer: 4. Cyanide

Explanation: Site-III (Complex IV) * Cyanide Blocks electron transfer from cyt b to c1 Inhibits terminal * H2S * Azide transfer of electrons to molecular O2 * Co (Carbon monoxide): Inhibits Cyt. oxidase by combining with O2 binding site. It can be reversed by illumination with light.Ref: MN Chatterjea Textbook of Medical Biochemistry, 8th edition, page no: 143